Not a cause of hemoptysis
1. Pneumonia
2. Bronchiectasis
3. Empyema
4. Mitral stenosis

Correct answer: 3. Empyema

Explanation: Empyema is collection of pus in pleural space which is characterised by severe pleuritic pain or persisting or recurrent pyrexia.Other features include rigor,sweating,malaise and weight loss.Usually there is no hemoptysis. Pneumococcal pneumonia often causes rusty coloured sputum.Bronchiectasis and intracavitary mycetoma can cause catastrophic bronchial hemorrhage.Mitral stenosis can also leads to hemoptysis. Ref:Davidson's med:22nd edition, page no:658.